Bleeding ear discharge is mostly due ?
1. Glomus tumour
2. Otosclerosis
3. Otitis media with effusion
4. Acoustic neuroma

Correct answer: 1. Glomus tumour

Explanation: Ans. is'a'i.e., Glomus tumour(Ref: Dhingra 6h/e p. 109)